FIGLU Test is used for deficiency of -
1. Vitamin B ,
2. Riboflavin
3. Niacin
4. Folic acid

Correct answer: 4. Folic acid

Explanation: Ans. is 'd' i.e., Folic acid Assessment of folate deficiencyo Following tests are used for assessment of folate deficiency.Blood levelNormal level in scrum is about 2-20 nanogram/mJ and about 200 micorgram.'ml of packed cells.Histidine load test or FIGLU excretion test :- Histidine is normally metabolized to formimino glutamic acid (FIGLU) from wrhich formimino group is removed by THF. Therefore in folate deficiency, FIGLU excretion is increased in urine.AICAR excretion In purine nucleotide synthesis the 2nd last step is the addition of C2 with the help of N10-formyl THF. This step is blocked in folate deficiency and the precursor, i.e., amino imidazole carboxamide ribosyl-5-phosphate (AICAR) accumulates and is excreted in urine.Peripheral blood picture Macrocytosis, tear drop cells, hvpersegmented neutrophils, anisopoikilocvtosis.